Lithium disilicate containing crystals in ceramic crown are?
1. IPS Empress
2. Captek
3. Dicor
4. IPS Empress 2

Correct answer: 4. IPS Empress 2